A patient developed paraplegia. On routine examination and X-ray it was found that there are osteoblastic lesion in his spine. Most probable diagnosis is -
1. Carcinoma thyroid
2. Ca. Prostate
3. Breast Ca.
4. Pancreatic Ca.

Correct answer: 2. Ca. Prostate

Explanation: Most common tumor producing osteoblastic bone metastasis is carcinoma prostate.